Adenomyosis is ?
1. Hyperplasia of glands in the endometricum
2. Metaplasia of endometrial glands
3. Presence of endometrial tissue within the myometrium
4. Presence of myometrial tissue within the endometrium

Correct answer: 3. Presence of endometrial tissue within the myometrium

Explanation: Adenomysis is the presence of endometrial tissue within the myometrium of uterus.